The cochlear implant is done in -
1. Scala vestibuli
2. Scala tympani
3. Cochlear duct
4. Endolymphatic duct

Correct answer: 2. Scala tympani

Explanation: Advantage of Vera technique

Simple
Less chances of injuring facial nerve
Suitable in young children where mastoid has not developed fully
Minimal bone trauma ∴ fast healing and less complication rate